Drugs used in lepra reaction is:
1. Thalidomide
2. Clofazimine
3. Chloroquine
4. All of the above

Correct answer: 4. All of the above

Explanation: All of the above